All of the following ovarian tumours arise from surface epithelium EXCEPT :
1. Mucinous cystadenoma
2. Endometrial carcinoma
3. Brenner tumour
4. Benign cystic teratoma

Correct answer: 4. Benign cystic teratoma

Explanation: Benign cystic teratoma